Which of the following variant of CAH presents with mineralocorticoid deficiency?
1. 11b hydroxylase deficiency
2. 17a hydroxylase deficiency
3. P450 oxidoreductase dehydrogenase
4. 3b hydroxyl-steroid dehydrogenase

Correct answer: 4. 3b hydroxyl-steroid dehydrogenase

Explanation: Deficiency in CAH Glucocorticoid Mineralocorticoid Androgens 21 hydroxylase Reduced Reduced Increased 3 b hydroxyl-steroide dehydrogenase Reduced Reduced Increased 11 b hydroxylase Reduced Increased Increased 17 a hydroxylase Reduced Increased Decreased P450 oxidoreductase Reduced Increased Decreased